The term "Tracking" of blood pressure refers to -
1. 24 hr BP monitoring
2. Identifying children at risk of developing hypertension at future date
3. Pictorial representation of BP
4. BP control with nifedipine

Correct answer: 2. Identifying children at risk of developing hypertension at future date

Explanation: If blood pressure level of individuals were followed up over a period of years from early childhood into adult life,then those individuals whose pressures were initially high in the distribution,would probably continue in the same 'track' as adults. Reference:Park's textbook of preventive and social medicine,K.Park,23rd edition,page no:374.